Which of the following is not given in pre operative preparations?
1. Diazepam
2. Midazolam
3. Atropine
4. Erythropoietin

Correct answer: 4. Erythropoietin

Explanation: Ans. is 'd' i.e., Erythropoietin o Drugs used in premedication1. Sedative - antianxiety-Diazepam / Lorazepam rtl Midazolam.-Lorazepam is used most commonly.-Midazolam is used for day care surgery.2 Opioids-Morphine / pethidine3. Anticholinergics-Atropine rtf Hyoscine / Glycopyrrolate.4. Neuroleptics-Haloperidol irt chlorpromazine / triflupromazine.5. H2 blocker or proton pump inhibitor-Ranitidine / Famotidine, omeprazole / Pantoprazole.6. Antiemitics-Metoclopramide / Domperidone / Ondansetron.